The lateral antebrachial cutaneous nerve comes from the?
1. Axillary nerve
2. Medial cord nerve
3. Musculocutaneous nerve
4. Radial nerve

Correct answer: 3. Musculocutaneous nerve

Explanation: The musculocutaneous nerve provides cutaneous innervation to the skin of the anterolateral side of the forearm through the lateral antebrachial cutaneous nerve. The axillary nerve supplies the skin of the upper lateral arm with the superior lateral brachial cutaneous nerve. The radial nerve supplies cutaneous innervation to the skin of the posterior arm, forearm, and hand through many different cutaneous nerves.